In which of the following organs, the effect of atropine on parasympathetic system is of the longest duration ?
1. Eye
2. Heart
3. Salivary glands
4. Urinary bladder

Correct answer: 1. Eye